False regarding bacterial plasmids is:
1. Extrachromosomal
2. Eliminated by treating with radiation
3. Transmission of different species
4. Can cause lysogenic conversion

Correct answer: 4. Can cause lysogenic conversion

Explanation: Ans. is 'd' i.e., Can cause lysogenic conversion(Ref: Ananthanarayan, 9th/e, p. 60 and 8th/e, p. 60)* Lysogenic conversion is due to phage (viral) genome, not due to bacterial plasmid.* Plasmid is extrachromosomal DNA and Radiation can damage Plasmid.* Plasmid can be transferred to different species, e.g., multi-drug resistance transfer between shigella and E. coli factor.